Which cooking oil hast most PUFA –
1. Safflower oil
2. Coconut oil
3. Butter
4. Vanaspati

Correct answer: 1. Safflower oil

Explanation: Richest source of polyunsaturated fatty acid → Safflower oil.
Richest source of monounsaturated fatty acid → Palmolein oil
Richest source of saturated fatty acid → Coconut oil